All are true about Neisseria gonorrhoeae except -
1. Gram positive cocci
2. Cause stricture of urethra
3. Involves seminal vesicles and spreads to epididymis
4. Drug of choice is ceftriaxone

Correct answer: 1. Gram positive cocci